Least width of attached gingiva is found on the facial
aspect of
1. 1st premolar
2. 2nd premolar
3. Lateral incisor
4. Canine

Correct answer: 1. 1st premolar